All of the following are known risk factors for the development of ovarian carcinoma EXCEPT:
1. Family History of ovarian carcinoma
2. Use of oral contraceptive pills
3. History of infertility
4. BRCA-1 positive individual

Correct answer: 2. Use of oral contraceptive pills

Explanation: Oral contraceptive use reduces the risk of epithelial ovarian cancer. Risk factors for ovarian carcinoma * Age--between 45 and 60 years* Nulliparous or of low parity* Woman with history of infertility, previous PCOS, or on tamoxifen* High-calorie, high-fat diet* Genetic predisposition BRCA-1 and BRCA-2 genes* Late menopause* Breast and gastrointestinal cancer* Prolonged HRT in menopausal woman